A young man presents with asymptomatic macules and erythematous painless lesion over glans with generalised lymphadenopathy. Treatment of choice in this condition:
1. Ceftriaxone
2. Benzathine penicillin
3. Acyclovir
4. Fluconazole

Correct answer: 2. Benzathine penicillin

Explanation: Ans. b. Benzathine penicillin